Endometriosis is best diagnosed by
1. Ultrasound
2. Laproscopy
3. Laprotomy
4. Endometerial curettage

Correct answer: 2. Laproscopy

Explanation: Endometriosis is best diagnosed by laparoscopy Role of Laparoscopy: To detect and diagnose pelvic endometriosis Locate site of endometriosis and staging To take biopsy To surgically treat endometriosis by ablation and removal